G-6-PD deficiency is inherited as?
1. Autosomal dominant
2. Autosomal recessive
3. X-linked dominant
4. X-linked recessive

Correct answer: 4. X-linked recessive

Explanation: Ans is 'd' i.e. X-linked recessive o G-6-PD deficiency is X-linked recessive disorderX-linked recessive disorders1) Musculoskeletal:- Duchene muscular dystrophy, Becker's dystrophy2) Hematological:- Hemophilia A & B, Chronic granulomatous disease, G-6-PD deficiency3) Immune:-Agammaglobulinemia,Wiskott-Aldrich syndrome4) Metabolic:- Diabetes insipidus, Lesch-Nyhan syndrome5) Nervous:- Fragile-X-syndrome, Colour blindness